Which of the following is not a type I Geographic lesion of bone -
1. Fibrous dysplasia
2. Brodies abscess
3. Giant cell tumor
4. Ewings sarcoma

Correct answer: 4. Ewings sarcoma

Explanation: Ans. is 'd' i.e., Ewings sarcoma Patterns of bone destruction:* Bone tumors can be categorized into several groups according to their pattern of destruction and margin.A) Geographic Lesion (Type I) - is characterized by a uniformly destroyed area within a sharply defined border. Geographic lesions are further divided into three groups according to their margins:i) Geographic lesion with sclerotic margin: type IA,ii) Geographic lesion with well-defined border without sclerotic rim: type IB,iii) Geographic lesion with ill-defined border: IC.B) The term moth eaten (Type II) is used to define lesions with clustered multiple small osteolytic areas.C) Finally permeative lesions (Type III) are those with ill-defined areas of lytic bone destruction.Pattern of bone destructionType IAGeographical lesion with sclerotic marginType IBGeographical lesion with well-defined border but without sclerotic rimType ICGeographical lesion with an ill-defined borderSimple bone cystChondrolblastomaFibrous dysplasiaIntraosseous lipomaNonossifying fibromaBrodie abscessAneurysmal bone cystGiant cell tumorChondrosarcomaType IIMoth-eatenType IIIpermeative Ewing's sarcomaLangerhans cell histiocytosisOsteosarcomaMyelomaSmall round cell tumors(lymphom)Ewing's sarcomaAcute osteomyelitis